Which among the following is produced by a linear accelerator?
1. X rays
2. Beta rays
3. Gamma rays
4. Neutrons

Correct answer: 1. X rays

Explanation: Linear accelerator is source of powerful x-rays. The name linear accelerator comes from the fact that electrons are produced in the machine and accelerated in a straight line. They then smash into a metal target within the machine and, because the energies involved are so high, produce high energy x-rays. Cyclotron is used to produce Gamma rays.